Hardy Weinberg law indicates all except:
1. States that genotype frequencies in a population remain constant or are in equilibrium from generation to generation unless specific disturbing influences are introduced
2. Hardy Weinberg law states that population is static
3. Factors influencing gene pool include mutation, natural selection, population movements(assertive mating), public health measures
4. Natural selection is a process where harmful genes are not eliminated from the gene pool and genes favorable to individual are not passed onto offspring .

Correct answer: 4. Natural selection is a process where harmful genes are not eliminated from the gene pool and genes favorable to individual are not passed onto offspring .

Explanation: Ans. (d) Natural selection is a process where harmful genes are not eliminated from the gene pool and genes favorable to individual are not passed onto offspring.Acc to Hardy Weinberg law genes are passed on to the offsprings in a gene pool.